Advantages of combination clasp:
1. It is flexible
2. It can be adjusted
3. It is more esthetic as compared to cast circumferential clasp
4. All of the above

Correct answer: 4. All of the above